The caffeine - halothane bath is used to diagnose with of the following condition-
1. Malignant hyperthermia
2. Neuroleptic malignant syndrome
3. Thyrotoxicosis
4. King denborough syndrome

Correct answer: 1. Malignant hyperthermia

Explanation: The caffeine - halothane bath is used to diagnose Malignant hyperthermia The caffeine halothanecontracture test (CHCT) is the criterion standard for establishing thediagnosisof malignant hyperthermia (MH). The test is performed on freshly biopsied muscle tissue at 30 centers worldwide; one of these centers is located in Canada, and four are located in the United States.